Tentative cuts are seen in
1. Homicide
2. Suicide
3. Throttling
4. Infanticide

Correct answer: 2. Suicide

Explanation: Ans) b (Suicide) Ref . Reddy 27th p 179Tentative cuts are usually seen in suicide.BRIDGECarbolic acid poisoning is the only corrosive acid poisoning where stomach wash can, be given.